Maternal disomy of chromosome 15 is seen in which of the following?
1. Prader-Willi syndrome
2. Klinefelter syndrome
3. Angelman syndrome
4. Turner syndrome

Correct answer: 1. Prader-Willi syndrome

Explanation: Prader Willi syndrome could be present because of the following: Deletion of paternal chromosome 15. Uniparental disomy of maternal chromosome 15. SNORP mutation